Docasanol is used as:
1. Antifungal
2. Antiviral
3. Analgesic
4. Antiemetic

Correct answer: 2. Antiviral

Explanation: Docosanol is a saturated 22-carbon aliphatic alcohol that inhibits fusion between the plasma membrane and the HSV envelope, thereby preventing viral entry into cells and subsequent viral replication. Ref: Katzung 11th edition Chapter 49.